The component of D.M.F. index mostly likely to give false
scores
1. D- Component
2. M- Component
3. F- Component
4. All usually

Correct answer: 2. M- Component